Danazol is used in the treatment of:
1. Cyclical mastalgia
2. Breast cyst
3. Non-cyclical mastalgia
4. Epithelial changes in breast

Correct answer: 1. Cyclical mastalgia

Explanation: Danazol is a synthetic testosterone which binds to progesterone and androgen receptors Danazol is used for benign breast diseases and is good for fibrocystic disease. Cyclical mastalgia due to increase engorgement (estrogenic ) will also be relieved with danazol. Almost 70% patients with cyclical mastalgia will report relief.